Which antidiabetic drug is used both for type I & II DM-
1. Sulphonylureas
2. Metformin
3. Acarbose
4. Pramlinitide

Correct answer: 4. Pramlinitide

Explanation: Ans. is 'd' i.e., Pramlinitide o Pramlinide is the only approved drug, beside insulin, to be used in both type-I and type-2 DM.